Yellow fever vaccination becomes effective after how many days of vaccination:
1. 5 days
2. 10 days
3. 10 weeks
4. 10 months

Correct answer: 2. 10 days

Explanation: Ans. (b) 10 daysRef : K. Park 23rd ed. /121, 283* Yellow fever vaccine certificate becomes valid after 10 days of vaccination.* Duration of yellow fever vaccination coverage: 10 days- 10 years.* Quarantine period of yellow fever: 6 days (maximum I.P of YF)